Area around umbilicus is supplied by this spinal nerve:
1. T8
2. T9
3. T10
4. T12

Correct answer: 3. T10

Explanation: Ans. C T10* Dermatome of area around umbilicus is supplied by T10* Area around umbilicus is supplied by T4